Diagnosis of irritable bowel syndrome is based on the following criteria EXCEPT-(ROME-III)
1. Recurrent abdominal pain or discomfort at least 3 days per month in the last 3 month
2. Improvement with defecation
3. Onset associated with a change in frequency, form and appearance of stool
4. Nocturnal symptoms and hematochezia at least once in last 3 months

Correct answer: 4. Nocturnal symptoms and hematochezia at least once in last 3 months

Explanation: Davidson's principles and practice of medicine 22nd edition. Rome III criteria. * abdominal pain or discomfort at least 3 days in last 3 months associated with 2 or more of the following. #improvement with defecation. #change in frequency of stool. #change in appearance of stool.